Bone and joint tuberculosis is most frequently seen in
1. Hip
2. Elbow
3. Spine
4. Knee

Correct answer: 3. Spine

Explanation: (C) Spine # Most common site of Bone & Joint Tuberculosis is Spine (Pott's Spine).> Skeletal manifestations of the disease are seen chiefly in the large joints and the spine, but the infection may appear in any bone. Predisposing conditions include chronic debilitating disorders, drug abuse, prolonged corticosteroid medication, AIDS and other disorders resulting in reduced defence mechanisms